Which of the following areas of brain is most resistant to Neurofibrillary tangles in Alzeimer's disease -
1. Entorhinal cortex
2. Hippocampus / Temporal lobe
3. Lateral Geniculate Body
4. Visual Association Area

Correct answer: 3. Lateral Geniculate Body